Which of the following is X-linked recessive?
1. Duchenne muscular dystrophy
2. Hypophostemic rickets
3. Marfans syndrome
4. Downs syndrome

Correct answer: 1. Duchenne muscular dystrophy

Explanation: Ans. (a) Duchenne muscular dystrophy(Ref: R 9th/pg 142)a. Duchenne muscular dystrophyX-linked recessiveb. Hypophostemic ricketsX-linked dominantc. Marfans syndromeAutosomal dominantd. Downs syndromeChromosomal trisomy